Which of the following is not a feature of chronic leukemia?
1. Often diagnosed incidentally
2. Splenomegaly is common
3. Leucocytosis with circulating blasts and cytopenias are common
4. Lymphadenopathy is common

Correct answer: 3. Leucocytosis with circulating blasts and cytopenias are common

Explanation: Presentation of leukaemia : Acute vs. Chronic Acute leukaemias Short history of feeling unwell May present with neutropenic fever or bleeding Organ infiltration may occur: skin, gums, testes, meninges Peripheral blood usually shows leucocytosis with circulating blasts and cytopenias Chronic leukaemias Often diagnosed incidentally Usually long history of non-specific symptoms Splenomegaly is common Lymphadenopathy is common in chronic lymphocytic leukaemia Peripheral blood usually shows leucocytosis with circulating mature lymphocytes or myeloid cells; blasts are rare Ref: Leukaemia update. Part 1: diagnosis and management ; BMJ 2013;346:f1660.